Acute leukemia in children is associated with - all except
1. Down's syndrome
2. Klinefelter's syndrome
3. Marfan's syndrome
4. Turner's syndrome

Correct answer: 3. Marfan's syndrome

Explanation: Marfan syndrome is an inherited disorder that affects connective tissue -- the fibers that support and anchor your organs and other structures in your body. Marfan syndrome most commonly affects the heart, eyes, blood vessels and skeleton. People with Marfan syndrome are usually tall and thin with disproportionately long arms, legs, fingers and toes. The damage caused by Marfan syndrome can be mild or severe. If your aorta -- the large blood vessel that carries blood from your heart to the rest of your body -- is affected, the condition can become life-threatening. Reference: GHAI Essential pediatrics, 8th edition